Drugs can cause all these pulmonary manifestation except:
1. Atelectasis
2. Pulmonary eosinophilia
3. Asthma
4. ARDS

Correct answer: 1. Atelectasis

Explanation: Ans: a (Atelectasis) Ref: Davidson, 20th ed p. 724DRUG-INDUCED RESPIRATORY DISEASENon-cardiogenic pulmonary oedema (ARDS)* Hydrochlorothiazide* Thrombolytics (streptokinase)* IV a-adrenoceptor agonists (e.g. treatment of premature labour)* Aspirin and opiates (in overdose)Non-eosinophilic alveolitis* Amiodarone, flecainide, gold, nitrofurantoin, cytotoxic agents- especially bleomycin, busulfan, mitomycin C, methotrexatePulmonary eosinophilia* Antimicrobials (nitrofurantoin, penicillin, tetracyclines, sulphonamides, nalidixic acid)* Antirheumatic agents (gold, aspirin, penicillamine, naproxen)* Cytotoxic drugs (bleomycin, methotrexate, procarbazine)* Psychiatric drugs (chlorpromazine, dosulepin, imipramine)* Anticonvulsants (carbamazepine, phenytoin)* Others (sulfasalazine, nadolol)Pleural disease* Bromocriptine, amiodarone, methotrexate, methysergide* Via induction of SLE-phenytoin, hydralazine, isoniazidAsthma* Via pharmacological mechanism (a-blockers, cholinergic agonists, aspirin and NS AIDs)* Idiosyncratic reaction (tamoxifen, dipyridamole)